All the following are features of Wilson's disease except:
1. Increased copper content in liver
2. Increased ceruloplasmin
3. Mental changes
4. Features of chronic active hepatitis

Correct answer: 2. Increased ceruloplasmin

Explanation: Answer is B (Increased Ceruloplasmin) In Wilson's disease, Ceruloplasmin levels are decreased (not increased). In Wilson's disease excess Cu saturates liver and spills in the plasma thereby decreasing ceruloplasinin levels.